Which of the following is not a phase in Meiosis
1. Prophase
2. Telophase
3. Dyskinesis
4. Diakinesis

Correct answer: 3. Dyskinesis